Which is required in Anabolic reactions:
1. NAD
2. NADP
3. FAD
4. FADP

Correct answer: 2. NADP

Explanation: All of these are products of dehydrogenase reaction. Dehydrognenase reaction: NADPH is used for Reductive biosynthesis, i.e. mainly anabolic reactions. Reductase enzyme is required for atleast one or more steps of anabolic reaction such as: Fatty Acid Synthesis, Cholesterol Synthesis, Steroid Hormone Synthesis, in RBC for the formation of Reduced Glutathione NADPH is synthesized mainly in HMP pathway. Here the best answer is NADP (If NADPH given, mark that)